Base of the tongue is attached to the:
1. Hyoid bone
2. Mandible
3. Hyoid bone and mandible
4. None of the above

Correct answer: 3. Hyoid bone and mandible

Explanation: The base of tongue constitutes the anterior wall of the oropharynx and can be inspected only by the use of a mirror or by a downward pressure on the tongue with a tongue spatula.
It is attached to the hyoid bone and mandible.
Reference: TEXTBOOK OF ANATOMY HEAD, NECK AND Brain, Volume III, second edition page no 191